True about neurolept malignant syndrome:
1. General antipsychotics are mroe associated
2. Symptoms include rigidity, fever and palpitation
3. Dantrolene improves symptoms
4. All

Correct answer: 4. All

Explanation: A. i.e. General antipsychotics more associated B. i.e. Symptoms include rigidity, fever, palpitation C. i.e. Dantrolene improves symptoms